Investigation of choice for Hydronephrosis-
1. Excretory Urography
2. USG
3. MRI
4. Cystourethrography

Correct answer: 2. USG

Explanation: Excretory Urography Also known as IVP Used to evaluate pelvic and calyceal system USG: IOC for fluid anywhere in the body Investigation of choice for Hydronephrosis MRI: Multiplanar imaging Good soft tissue resolution IOC for Neurological diseases IOC for Brain tumors: CE - MRI IOC for spinal metastasis: MRI IOC for ventricular function: CINE-MRI Preferred for Bone Marrow evaluation Cystourethrography: Also known as voiding cystourethrography IOC for Vesicoureteral reflex Also used to evaluate posterior urethra